Baldy webster operation is done in case of: In case of
1. Congenital prolapse
2. Retroversion of uterus
3. Inversion of uterus
4. Prolapse in females <40 yrs of age.

Correct answer: 2. Retroversion of uterus

Explanation: BALDY WEBSTER OPERATION The round ligaments are passed through the anterior and posterior leaves of the broad ligament and are sutured to the posterior surface of the uterus , thus shortening the round ligaments and ventrosuspending the uterus. SHAW'S TEXTBOOK OF GYNAECOLOGY,Pg no:347,15th edition